Increased anion gap is found in the following disorders except -
1. Diabetic ketoacidosis
2. Starvation ketosis
3. Renal tabular acidosis
4. Lactic acidosis

Correct answer: 3. Renal tabular acidosis

Explanation: Causes of High-Anion Gap Metabolic Acidosis Lactic acidosis Toxins Ketoacidosis Ethylene glycol Diabetic Methanol Alcoholic Salicylates Starvation Propylene glycol Pyroglutamic acid (5-oxoproline) Renal failure (acute and chronic) (ref : harrisons, 19E , pg -318)